Features of Turner's syndrome is/are:a) Secondary amenorrheab) Genotype XOc) Infertilityd) Streak ovarye) Coarctation of aorta
1. bcde
2. acd
3. ac
4. bd

Correct answer: 1. bcde